Fluoride rich materials include?
1. Silicate cement
2. Glass ionomer cement
3. Polycarboxylate cement
4. All of the above

Correct answer: 4. All of the above